All these are techniques to decrease scarring except
1. Late removal of sutures
2. Tension free suturing
3. Finer suture materials
4. Debridment

Correct answer: 1. Late removal of sutures

Explanation: Principles of wound managementCleansingDebridementRepair of structuresReplacement of lost tissues where indicatedSkin cover if requiredSkin closure without tensionCareful tissue handling and meticulous techniqueSuture marks may be minimised by using monofilament sutures that are removed early (3-5 days).Fine sutures (6/0or smaller) placed close to the wound margins tend to leave less scarring.Bailey and Love 27e pg: 32